Spasmolytic analgesic iS-
1. Dicyclomine
2. Physostigmine
3. Tropicamide
4. None

Correct answer: 1. Dicyclomine

Explanation: Ans. is `a' i.e., Dicyclomine o Antispasmodic (spasmolytic) drugs are used in various colic (pain) e.g. abdominal colic or renal colic. o Among the given options, dicyclomine is spasmolytic.